Regarding Anopheles mosquito true is all EXCEPT :
1. Eggs are laid singly on water
2. Larva don't have siphon
3. Wings are spotted
4. Pupa don't have siphon tube

Correct answer: 4. Pupa don't have siphon tube